An injury which involves dislocation of the distal radioulnar joint and fracture of the radial head is called?
1. Galeazzi fracture
2. Monteggia's fracture
3. Essex-Lopresti injury
4. Barton's fracture

Correct answer: 3. Essex-Lopresti injury

Explanation: Ans. C. The Essex-Lopresti injuryIt is a radial head fracture, with interosseous membrane disruption and subluxation or dislocation of the distal radioulnar joint.